Which does not requires BIOTIN?
1. Acetyl CoA to Malonyl CoA
2. Pyruvate to Oxaloacetate
3. Glutamate to GABA
4. Propionyl CoA to Methyl Malonyl CoA

Correct answer: 3. Glutamate to GABA

Explanation: Biotin (Vitamin B7) is required mainly in carboxylation reactions- Acetyl CoA to Malonyl CoA is done by enzyme Acetyl CoA carboxylase. Pyruvate to Oxaloacetate is done by enzyme Pyruvate carboxylase. Propionyl CoA to Methyl Malonyl CoA is done by enzyme Propionyl CoA carboxylase. =Glutamate to GABA conversion is a simple decarboxylation reaction, which requires vitamin B6 i.e. Pyridoxine. ADDITIONAL INFORMATION ON BIOTIN: Biotin is a prosthetic group for all carboxylases. But there are few carboxylation reactions which do not require Biotin.They are : CPS-I and II (Carbamoyl Phosphate Synthetase ). CO2 addition in C6 of purines. Pyruvate (3C) to Malate (4C) conversion by Malic enzyme Gamma Carboxylation of Glutamate (Vitamin K required, not Biotin).